Which of the following is HMB45 negative?
1. Melanoma
2. Angiomyolipoma
3. Tendon clear cell sarcoma
4. Juxtaglomerular tumor

Correct answer: 4. Juxtaglomerular tumor

Explanation: D i.e. Juxtaglomerular tumorRef: Dab Immunohistochemistry Basics, HMB45Explanation:HMB 45: Human Melanoma Black: Positive staining is seen in:Melanoma (85-90%, see exceptions under negative staining).Angiomyolipoma.Clear cell sarcoma of soft tissue.Clear cell "sugar" tumor.Epithelioid sarcoma (occasional).Kidney: t(6;11)(p21;q12) renal cell carcinoma.Lymphangioleiomyomatosis (also stains non-proliferative cells).Melanocytosis.PEComa.Pheochromocytoma.Pigmented neural tumors (some), including some nerve sheath tumors, some neurofibromas pigmented neuroectodermal tumor of infancy.Tuberous sclerosis complex components.